If parasites are grown as a culture with unknown bacterial associate, it is called
1. Axenic culture
2. Monoxenic culture
3. Polyxenic
4. Xenic culture

Correct answer: 4. Xenic culture

Explanation: Pure culture with no bacterial isolates-axenic Unknown bacterial isolate: xenic culture monoxenic culture-culture of parasites grown in association with a single known bacterium. Ref: Arora.Medical parasitology 4th ed pg. 11